The branches of nasociliary nerve include following except
1. Anterior ethmoidal nerve
2. Posterior ethmoidal nerve
3. Supratrochlear nerve
4. Infratrochlear nerve

Correct answer: 3. Supratrochlear nerve